All of the following are regulating enzymes of glycolysis, except -
1. Hexokinase
2. Glucokinase
3. Enolase
4. PhosphofructokinaseI

Correct answer: 3. Enolase

Explanation: Ans. is 'c' i.e., Enolase o Glycolysis is regulated at 3 steps w hich are irreversible. These reactions are catalyzed by following key enzymes: (1) Hexokinase and glucokinase, (2) Phosphofructokinase -I, and (3) Pyruvate kinase.Metabolic pathwayRegulating enzymesGlycolysisHexokinseGlucokinasePhosphofructokinase-lPyruvate kinaseBridging between glycolysis & ICA cyclePyruvate dehydrogenaseTCA cycleCitrate synthase lsocitrate dehydrogenase a-keto glutrate dehydrogenaseGlycogenesisGlycogen synthaseGlycogenolysisGlycogen phosphorylaseGluconeogenesisPyruvate carboxylase PEP carboxykinase Glucose-6-phosphataseFructose-1, 6-bisphosphatase